Which of the following is a free radical scavenging enzyme?
1. Myeloperoxidase
2. Glutathione peroxidase
3. NADPH oxidase
4. Protease

Correct answer: 2. Glutathione peroxidase

Explanation: Elimination of free radical occur multiple mechanism:- 1.Antioxidant: (Glutathione and vitamin A, C, E) 2.Enzymes:- (i) Superoxide dismutase(mitochondria) O2-H2O (ii) Glutathione peroxidase (mitochondria) (iii) Catalase (Peroxisome): H2O2-O2 and H2O (glutathione independent). 3. Metal Carrier protein (Transferrin/Ceruloplasmin). Destruction of phagocytose material:- Oxygen dependent killing is most effective mechanism.